Tinel's sign is:
1. Loss of sensation
2. Loss of 2 point discrimination
3. Percussion produces tingling sensation
4. Not associated with carpel tunnel syndrome

Correct answer: 3. Percussion produces tingling sensation

Explanation: Procedure

Patient is seated, elbow in flexion.
Evaluator grasps wrist and taps the ulnar notch with reflex hammer.

Positive Test

Athlete complains of tingling sensation along forearm hand and fingers.
Indicates ulnar nerve compromise.